Schirmer test measures
1. Basal tear secretion
2. Reflex tear secretion
3. Total tear secretion
4. None of the above

Correct answer: 3. Total tear secretion

Explanation: Schirmer test measures total tear production.
Normal value: 15 mm or above/5 minutes.